Second injury is an explosion is due to -
1. Due to flying debris
2. Due to blast wind
3. Due to shock wave
4. Due to complication

Correct answer: 1. Due to flying debris

Explanation: The synopsis of forensic medicine & toxicology ;Dr k.s narayan reddy ; 28th edition ;pg.no. 138 The blast may drive multiple fragments of bomb or pieces of nearby objects, e.g gravel ,glass,wood,brick,plaster etc through the air into the skin & causes bruises ,abrasion, puncture lacerations intimately mixed on skin .